Gustatory hallucinations can be associated with which of the following condition?
1. PTSD
2. Grand mal epilepsy
3. Temporal lobe epilepsy
4. Alcohol use disorder

Correct answer: 3. Temporal lobe epilepsy

Explanation: Ans. C. Temporal lobe epilepsy* Ictal gustatory hallucinations is the experience of a taste due to a focal seizure in the absence of an environmental stimulus of the sensation. It is frequently connected with temporal lobe epilepsy.* Temporal lobe epilepsy may be simple partial, complex partial or secondarily generalized seizures which have their onset in childhood or young adulthood, most common form of temporal lobe epilepsy are Mesial temporal seizures.* Characteristics of the seizures are-1. Rising epigastric discomfort2. Nausea, marked autonomic signs3. Belching, pallor, fullness of face4. Flushing, pupil dilatation, fear, respiratory arrest, panic and olfactory gustatory hallucinations.Visual hallucinations can vary greatly in sophistication from simple colors or flashing lights in epilepsy arising in the calcarine cortex to complex visual perception hallucinations in posterior temporal association areas.In addition, auditory hallucinations can vary in complexity and frequently occur in seizures arising in the Herschel gyrus.